Regarding Hashimoto's thyroiditis which is false:
1. Autoimmune thyroiditis
2. Plasma cell and lymphocytic infiltration
3. Hypothyroid state
4. Hypoparathyroid state

Correct answer: 4. Hypoparathyroid state